Coagulation process starts with the help of all except?
1. Kalleikrein
2. Hageman factor
3. Phospholipids
4. HMW kininogen

Correct answer: 3. Phospholipids